Sunburst appearance found in -a) Osteosarcomab) Ewings sarcomac) Osteoclastomad) Osteoid osteomae) Chondrosarcoma
1. ac
2. a
3. ad
4. ab

Correct answer: 4. ab

Explanation: Sun-ray (sunburst) appearance and Codman's triangle : -


Typical features of osteosarcoma.
May also be seen in Ewing's sarcoma, osteomyelitis.


Onion-peel appearance


Typical feature of Ewing's sarcoma.
May also be seen in osteosarcoma, and osteomyelitis